Gestational sac can be seen using ultrasonography at the earliest by:
1. 3rd week
2. 4th week
3. 5th week
4. 8th week

Correct answer: 3. 5th week

Explanation: Ans. 5th week